According to Dardick's multicellular theory Pleomorphic adenoma arise from:
1. Intercalated duct reserve cell.
2. Myoepithelial cell.
3. Both AB
4. Excretory duct reserve cell.

Correct answer: 3. Both AB